A patient has carcinoma of right tongue on its lateral border of anterior 2/3rd, with lymph node of size 4 cm in level 3 on left side of the neck, stage of disease is
1. N0
2. N1
3. N2
4. N3

Correct answer: 3. N2

Explanation: Carcinoma Oral Tongue: Ref:- Dhingra; pg num:-228